The following complications are likely to increase in a case of severe anemia during the pregnancy except :
1. Pre-eclampsia
2. Intercurrent infection
3. Heart failure
4. Subinvolution

Correct answer: 4. Subinvolution

Explanation: Subinvolution